Moeller’s glossitis or Hunter’s glossitis is seen in
1. Niacin
2. Riboflavin
3. Vitamin B12
4. All of the above

Correct answer: 3. Vitamin B12